The screening for HCC in chronic liver disease is:
1. Serial USG+AFP
2. Serial LFT+AFP
3. Serial LFT+CT scan
4. Serial USG+ serial LFT

Correct answer: 1. Serial USG+AFP

Explanation: Screening in high risk cases is done with Serial USG+AFP .